Nerve root of pudendal nerve is
1. S1 S2 S3
2. S2 S3 S4
3. S3 - S4
4. S2 - S3

Correct answer: 2. S2 S3 S4

Explanation: The pudendal nerve is derived from the sacral roots of S2-S4 and later divides into three branches, the dorsal clitoral/penile, the perineal, and the rectal. It carries motor, sensory and autonomic fibers. Ref - BDC 6e vol2 pg363